All the following are congenital cysts except
1. External angular dermoid cyst
2. Sebaceous cyst
3. Branchial cyst
4. Thyroglossal cyst

Correct answer: 2. Sebaceous cyst